A one-day-old child presented with weak cry since birth and biphasic stridor. Incomplete canalisation was considered. Most common site of defect would be at:
1. Supraglottic
2. Subglottic
3. Glottic
4. Hypopharynx

Correct answer: 3. Glottic

Explanation: (c) Glottic(Ref. Current Diagnosis & Treatment Otolaryngology, Lalwani, 3rd ed., 485; Scott Brown, 8th ed., Vol 2; 335)In glottic pathologies the cry will not be normal and stridor will be biphasic like in this case. Incomplete canalisation means that the child is having laryngeal web. Laryngeal web is a rare malformation occurring as a result of incomplete canalisation of the larynx. It is present most commonly in the anterior part of glottis.Biphasic stridor will also be present in subglottic pathology but cry will be normal.In supraglottic condition the stridor will be inspiratory and the cry will be normal.Hypopharyngeal pathology presents with dysphagia.